A 45 year old female was diagnosed with breast carcinoma. She was operated and is taking tamoxifen therapy for the last 1 year. Now she is complaining of bleeding per vaginum. If this is due to the adverse effect of tamoxifen, the most likely cause is:-
1. Development of bleeding disorder
2. Development of endometrial carcinoma
3. Development of ovarian carcinoma
4. Development of cervical cancer

Correct answer: 2. Development of endometrial carcinoma

Explanation: - Tamoxifen and Toremifene are selective estrogen receptor modulators (SERMs) that are useful for chemoprevention as well as treatment of both early stage and metastatic breast carcinoma. - These increase the risk of endometrial carcinoma.